hCG is secreted by:
1. Cytotrophoblast
2. Chorionic villi
3. Syncytiotrophoblast
4. None of the above

Correct answer: 3. Syncytiotrophoblast

Explanation: Ans. C: Syncytiotrophoblast Human chorionic gonadotropin or human chorionic gonadotrophin (hCG) is a glycoprotein hormone produced in pregnancy that is made by the developing embryo after conception and later by the syncytiotrophoblast (part of the placenta). Its role is to prevent the disintegration of the corpus luteum of the ovary and thereby maintain progesterone production that is critical for a pregnancy in humans. Early pregnancy testing, in general, is based on the detection or measurement of hCG. Because hCG is produced also by some kinds of tumor, hCG is an important tumor marker especially (with clinical significance) in Gestational trophoblastic disease.